Which of the following is the most common complication related to intubation:
1. Bleeding
2. Malposition
3. Sore throat
4. Abductor paralysis

Correct answer: 3. Sore throat

Explanation: Ans. C: Sore Throat Complications after intubation: Trauma to the lips, teeth, and soft tissues of the airway. Bronchial injury Laryngospasm - Common when extubation is done when the patient is in a semiconscious state - Extubation should be done in a relatively deep anaesthesia or when the protective laryngeal reflex has returned Postintubation hoarseness and sore throat - It is the most common post-operative complication - Due to mechanical presence of the tracheal tube